Preterm VLBW infants ingesting unfortified breast milk need to be supplemented with what doses of calcium, and vitamin D?
1. Calcium (80-120 mg/kg/day) and vitamin D (200-400 IU/day)
2. Calcium (40-80 mg/kg/day) and vitamin D (400-1000 IU/day)
3. Calcium (500-1000 mg/kg/day) and vitamin D (200-400 IU/day)
4. Calcium (150-220 mg/kg/day) and vitamin D (200--400 IU/day)

Correct answer: 4. Calcium (150-220 mg/kg/day) and vitamin D (200--400 IU/day)

Explanation: d. Calcium (150-220mg/kg/day) and vitamin D (200-400IU/day)(Ref: AAP recommendations, 2013)As per the latest AAP Recommendations for Enteral Nutrition for VLBW Infants, a daily Calcium intake of 150-220mg/kg, Phosphate 75-140mg/kg & Vitamin D 200-400IU should be ensured